Tyrosine is synthesized from-
1. Tryptophan
2. Phenylalanine
3. Histidine
4. Methionine

Correct answer: 2. Phenylalanine

Explanation: Ans. is 'b' i.e., Phenylalanine o Phenylalanine metabolism is initiated by its oxidation to tyrosine which then undergoes oxidative degradation.